What is not found in hypothyroidism?
1. Low T3
2. High triglycerides
3. Low cholesterol
4. High TSH

Correct answer: 3. Low cholesterol

Explanation: Low cholesterol REF: Harrison's 17th ed chapter 337 (Table 335-5), CURRENT Medical Diagnosis and treatment Chapter 26. Endocrine Disorders "Hypercholestrolemia not hypocholesterolemia is found in hypothyroidism" LABORATORY FINDINGS IN HYPOTHYROIDISM: The Free T4may be low. Serum T, is not a good test for hypothyroidism (Low T3). Serum TSH is increased with primary hypothyroidism but is low or normal with pituitary insufficiency. Other laboratory abnormalities may often be seen: increased serum LDL cholesterol, triglycerides, lipoprotein (a), liver enzymes, and creatine kinase; increased serum PRL; and hyponatremia, hypoglycemia, and anemia Signs and symptoms of hypothyroidism (Descending order of frequency) Symptoms Signs * Tiredness, weakness * Dry coarse skin; cool peripheral extremities * Dry skin * Puffy face, hands, and feet (myxedema) * Feeling cold * Diffuse alopecia * Hair loss * Bradycardia * Difficulty concentrating and poor memory * Peripheral edema * Constipation * Delayed tendon reflex relaxation * Weight gain with poor appetite * Carpal tunnel syndrome * Dyspnea * Serous cavity effusions * Hoarse voice * Menorrhagia (later oligomenorrhea or amenorrhea) * Paresthesia * Impaired hearing